Insulin stimulated glucose transport is which type of transport-
1. Simple diffusion
2. Facilitated diffusion
3. Primary active transport
4. Secondary active transport

Correct answer: 2. Facilitated diffusion

Explanation: Ans. is 'b' i.e., Facilitated diffusion * Glucose is transported into the cells by two mechanismsi) Facilitated diffusion By glucose transporters (GLUT)ii) Secondary active transportBy sodium dependent glucose transporter (SGLT)* Insulin increases glucose uptake by increasing the GLUT4 on the cell membrane. Thus, insulin promotes facilitated diffusion i.e. diffusion along concentration gradient (not against concentration gradient). So, option b is incorrect.